The most predominant type of polio virus during epidemics is -
1. Type I
2. Type II
3. Type III
4. Combined infection of II & III

Correct answer: 1. Type I

Explanation: Polio virus has three serotypes 1,2 and 3. Most outbreaks of paralytic polio are due to type-1 virus. Ref: PARK'S TEXTBOOK OF PREVENTIVE AND SOCIAL MEDICINE 23rd edition , Page :205